A person wants to study deafness and mobile phone usage. He collected data on mobile phone usage from government source and deafness from district and private clinics. This type of study is known as:
1. Experimental study
2. Ecological study
3. Etiological study
4. Cross-sectional study

Correct answer: 2. Ecological study

Explanation: Ecological study or correlation study is an analytical study. Here the unit of study is population. Results are not applicable on individual person. It is inferior to case control and cohort study. Ref: Park's textbook of Preventive and Social Medicine, 21stedition, page-59.